FALSE about annular pancreas in
1. Prevalent in Down's syndrome
2. Bilious vomiting
3. Double- bubble sign on X-ray
4. Gastrojejunostomy offers best remedy

Correct answer: 4. Gastrojejunostomy offers best remedy

Explanation: G-J is usually not done. SRB,5th,712 The usual treatment is bypass(duodenoduodenostomy) Bailey & Love ,26th,1125.